Green shrinkage seen in
1. Phosphate bonded investment.
2. Ethyl silicate bonded investment.
3. Gypsum bonded investment.
4. All of the above.

Correct answer: 2. Ethyl silicate bonded investment.

Explanation: • Green shrinkage:
-Occurs during heating of silicate investments.
-Occurs due to loss of alcohol & water during phase(168ºC) to form a concentrated, hard gel.
This also leads to volumetric contraction of the mould